The oral microbial flora of a patient on prolonged broad spectrum antibiotic therapy is predominantly:
1. Anaerobic
2. Gram positive organisms
3. Gram negative organisms
4. Yeast and fungi

Correct answer: 4. Yeast and fungi